Conversion of a complete hydatidiform mole into invasive mole is indicated by all of the following except:
1. Plateau HCG
2. Enlarged Uterine size
3. Persistence of Theca-lutein cysts
4. Suburethral nodule

Correct answer: 4. Suburethral nodule

Explanation: An invasive mole rarely develops metastasis and hence presence of suburethral nodule should not be regarded as an indicator of conversion of hydatiform mole into an invasive mole. Ref: Donald School Textbook of Ultrasound in Obstetrics and Gynecology By Kurjak, 2nd Edition, Page 251, 252; Essentials of Human Disease By Leonard Crowley, 2011, Page 313.